'Ischemic necrosis' in alkali burn is -
1. Stage I
2. Stage II
3. Stage III
4. Stage IV

Correct answer: 1. Stage I

Explanation: Ans. is 'a' i.e., Stage I o Alkali bums are among the most severe chemical injuries to eye.o Common alkalies responsible for bums are liquid ammonia (most harmful), lime, caustic potash or caustic soda,o Clinical features are divided into three stages.Acute ischemic necrosis (Stage I) In this stage there are signs in conjunctiva (edema, congestion, necrosis, copious discharge), cornea (sloughing, edema and opacity) and iris (iridocyclitis),Reparation (Stage II)Conjunctival and comeal epithelium regenerate, and there is comeal neovascularization. Complications (Stage III) Symblepharon, recurrent corneal ulceration, complicated cataract, secondary glaucoma.